X-ray features of hypoparathyroidism are the following except –
1. Osteosclerosis
2. Calvarial thickening
3. Subperiosteol resorption
4. Subcutaneous calcification

Correct answer: 3. Subperiosteol resorption

Explanation: Subperiosteal resorption is seen in hyperparathyroidism (not hypoparathyroidism).
Osteosclerosis, calvarial thickening, and subcutaneous calcification may occur in hypoparathyroidism.